Delusion is not seen in
1. Depression
2. Anxiety
3. Schizophrenia
4. Mania

Correct answer: 2. Anxiety

Explanation: Delusion is psychotic symptom, can be associated with schizophrenia, depression with psychotic symptoms, mania with psychotic symptoms. anxiety disorder is a type of neurosis here the patients will have insight they will present with palpitations, breathlessness, ruminations, worries, distress and fear of impending doom. Diagnostic criteria for Severe Depression with psychotic symptoms: A severe depressive episode which meets the criteria given for severe depressive episode without psychotic symptoms and in which delusions, hallucinations, or depressive stupor are present. The delusions usually involve ideas of sin, poverty, or imminent disasters, responsibility for which may be assumed by the patient. Reference: ICD-10 Classification of Mental and Behavioural Disorders, World Health Organization, Geneva, 1992